Fovea palatine are situated in:
1. Hard palate
2. Soft palate
3. At the junction of hard and soft palate
4. Their position is not fixed

Correct answer: 2. Soft palate